Major portion of auricle is supplied by:
1. Greater auricular nerve
2. Lesser occipital nerve
3. Facial nerve
4. Auriculotemporal nerve

Correct answer: 1. Greater auricular nerve

Explanation: Ans. (a) Greater auricular nerveRef: Dhingra's ENT 6th ed/4* Greater auricular nerve has major contribution of auricle. It supplies major portion on lateral aspect as well as on the medial aspect.